Propofol and thiopentone are:
1. Inducing agents
2. Maintenance agents
3. Reversing agents
4. Local anaesthetics

Correct answer: 1. Inducing agents

Explanation: Ans: a (Inducing agents) Ref: Ajay Yadav, 3rd ed, p. 72Thiopentone is the most commonly used IV anaesthetic agent for induction. Propofol is also used in good centres.Commonly used IV inducing agents:# Thiopentone# Ketamine# Althesin# Opioids# Propofol# Methohexitone# Midazolam